Drug of choice in MDP is:
1. Lithium
2. Amphetamine
3. Diazepam
4. Alprazolam

Correct answer: 1. Lithium

Explanation: Lithium